Gandy gamma body is typically seen in chronic venous congestion of which of the following?
1. Lung
2. Spleen
3. Kidney
4. Liver

Correct answer: 2. Spleen

Explanation: Gamna-Gandy bodies in chronic venous congestion (CVC) of the spleen is characterized by calcific deposits admixed with haemosiderin on fibrous tissue.